Anterior lenticonus is found in –
1. Lowe's syndrome
2. William's syndrome
3. Alport's syndrome
4. Down's syndrome

Correct answer: 3. Alport's syndrome

Explanation: Anterior lenticonus is seen in Alport's syndrome and posterior lenticonus is seen in Lowe's syndrome.